Klinefelter's syndrome is associated with -a) XXY genotypeb) Male habitus c) Infertilityd) Azoospermiae) Barr body absent
1. acd
2. cde
3. ace
4. bde

Correct answer: 1. acd

Explanation: Barr bodies are present in Klinefelter's syndrome